If both parents are sickle cell anemia patients then the likelyhood of offsprings having the disease is-(
1. 1 0 %
2. 25%
3. 50%
4. 100%

Correct answer: 4. 100%

Explanation: Ans. is 'd' i.e., 100%